All of the following can cause Optic Neuritis, except-
1. Rifampicin
2. Digoxin
3. Chloroquine
4. Ethambutol

Correct answer: 1. Rifampicin

Explanation: Ans. (a) RifampicinRef Kanski 5/e, p. 601, 603Important drugs causing optic neuritis are quinine, chloroquine, ethambutol, isoniazid (INH), Streptomycin, Digoxin, Amoidarone, NSAIDs (aspirin, indomethacin, phenylbutazone, ibuprofen), vigabatrine, disulfiram).